All the following extraocular muscles are supplied by 3rd nerve except:
1. Lateral rectus
2. Medial rectus
3. Superior rectus
4. Inferior oblique

Correct answer: 1. Lateral rectus

Explanation: Oculomotor nerve ( 3rd nerve) has 2 divisions (superior & inferior) supplies the following muscles:
a. Levator palpebrae superioris (superior division)
b. Superior rectus (superior division)
c. Medial rectus (inferior division)
d. Inferior rectus (inferior division)
e. Inferior oblique (inferior division)
Superior oblique is supplied by trochlear nerve (4th nerve)
Lateral rectus is supplied by abducens nerve (6th nerve)
Mnemonics for nerve supply to extraocular muscles: SO4LR6R3 (SO-sup oblique, LR- lateral rectus, Remaining muscles)